Tongue muscles are derived from
1. Occipital somites
2. Pharyngeal pouch
3. Hypobranchial emminence
4. Neural crest

Correct answer: 1. Occipital somites

Explanation: Inderbir Singh's Human embryology Tenth edition Pg 176 The musculature of tongue is derived from occipital myotomes